Carcinoma tongue less than 2 cm is treated by -
1. Excision
2. Radiotherapy
3. Chemotherapy
4. Excision and Radiotherapy

Correct answer: 1. Excision